Cause of Ludwig angina is
1. Retropharyngeal abscess
2. Tooth infection
3. Parotid infection
4. None

Correct answer: 2. Tooth infection

Explanation: AETIOLOGY OF LUDWIG'S ANGINA 1. Dental infections. They account for 80% of the cases. Roots of premolars often lie above the attachment of mylohyoid and cause sublingual space infection while roots of the molar teeth extend up to or below the mylohyoid line and primarily cause submaxillary space infection. 2. Submandibular sialadenitis, injuries of oral mucosa and fractures of the mandible account for other cases. (Ref: Diseases of ear, nose and throat, PL Dhingra, 7th edition, page 297)